Ulcerative colitis most commonly involves:
1. Rectum
2. Anus
3. Ascending colon
4. Ileum

Correct answer: 1. Rectum

Explanation: Ans. (a) RectumRef: Sabiston 20th edition, Page 1339* Most common site of ulcerative colitis: Rectum* Most common site of Crohn's disease: Terminal ileum